X Ray view of fracture of nasal bone includes all except
1. Submental view
2. Waters view
3. Occlusal view
4. Lateral view

Correct answer: 1. Submental view

Explanation: .X-RAYS FOR NASAL FRACTURES 1. Lateral view of nasal bones : Both right and left lateral views should be taken. Fracture line and depression or elevation of the fractured segment is seen. Lower part of nasal bones is thin and fractured more frequently. Groove for ethmoidal nerve and vessels can be seen running downwards and forwards and may look like fracture line. 2. Occlusal view of nasal bone. In this the X-ray film is held between the teeth, and central beam is projected perpendicular to the film. Both sides of the nasal pyramid are seen. Fracture line and lateral displacement of the nasal pyramid is seen clearly. 3. Waters' view. It gives end-on view of nasal arch. Fractures of right and left nasal bones and their lateral displacement can be seen. Ref: Dhingra 7e pg 494.